False about competitive antagonism
1. Cusve shifts to right
2. Efficacy decreases
3. Reversible
4. Drug binds to active site of the enzyme

Correct answer: 2. Efficacy decreases

Explanation: Efficacy remains same.